Ivermectin in indicated in the treatment of:
1. Syphilis
2. Scabies
3. Tuberculosis
4. Dermatophytosis

Correct answer: 2. Scabies

Explanation: Ans is 'b' i.e. Scabies Ivermectin is the only drug effective orally in scabies and pediculosis. Single 2mg/kg orally cures, most patients.Ivermectin is basically an antihelminthic drug used traditionally to treat onchocerciasis.The mechanism of action of Ivermectin is by inhibition of Glutamate gated chloride ion channels & other ligand gated chloride channels, such as those gated by the neurotransmitter gamma amino acid (GABA) present in invertebrate nerve and muscle cells.This binding leads to an increase in the permeability of the cell membrane to chloride ions with hyperpolarization of the nerve or muscle cell, resulting in paralysis and death of parasite.Scabicides include :5% permethrin 25 % Benzyl benzoate1 % Gamma Benzene hexachloride 10% CrotamitonIvermectin